Eye defect by anti Tb drug:
1. Ethambutol
2. Pyrazinamide
3. Rifampicin
4. Isoniazid

Correct answer: 1. Ethambutol

Explanation: Ans. a. EthambutolRef: Goodman Gilman 13th E/P1074Reversible eye defect in the form of optic neuritis and red-green (green>red) colour blindness can be seen with ethambutol.Hence ophthalmological examination for same is mandatory.These intensity of ocular toxicities are both dose and duration dependent.